Elevators should not be used to remove the palatal root of an
1. Upper incisor
2. Upper canine
3. Upper premolar
4. Upper molar

Correct answer: 4. Upper molar